Organism leading to infective endocarditis?
1. Staph aureus
2. Klebsiella
3. Streptococcus Pneumoniae
4. Meningococcus

Correct answer: 1. Staph aureus

Explanation: Ans. (a) Staphylococcus aureusRef: Harrison 19th ed. / 816* Overall S.Aureus infection is the most common cause of IE, including Prosthetic Valve Endocarditis, acute Infective Endocarditis, and IVDA( Intravenous drug Abuse) Infective Endocarditis.* Approximately 35-60.5% of staphylococcal bacteremias are complicated by IE.* More than half the cases are not associated with underlying valvular disease.* The mortality rate of S aureus IE is 40-50%.* The incidence of MRSA infections, both the hospital- and community-acquired varieties, has dramatically increased (50% of isolates). Sixty percent of individuals are intermittent carriers of MRSA or MSSA.